Argon Laser trabeculoplasty is used in -
1. Open angle glaucoma
2. Angle closure glaucoma
3. Buphthalmos
4. None

Correct answer: 1. Open angle glaucoma

Explanation: Ans. is 'a' i.e., Open angle glaucomaOpen angle glaucoma* Treatment of choice- topical antiglaucoma drugs* Drug of choice - Beta blocker (timolol)* Surgery of choice - Argon or Diode laser trabeculoplasty